Immediate stiffnes postmortem occurs in :
1. Cadaveric rigidity
2. Cadaveric spasm
3. Rigor mortis
4. Algor mortis

Correct answer: 2. Cadaveric spasm

Explanation: B i.e. Cadaveric spasm